Which of the following are non-spore forming anaerobic bacteria that assume major significance in the disease process
1. Bacteroides fragilis
2. Fusobacterium nucleatum
3. Peptostreptococcus
4. All

Correct answer: 4. All

Explanation: All the above are Gram-negative non-sporing anaerobic bacilli associated commonly with a disease process. They assume major significance in the disease process Reference: Textbook of Microbiology; Anathanarayan and paniker's; 10th edition; Page no: 274